Lymphangio myomatosis is characterized by all of the following except:
1. Post menopausal women
2. Recurrent chylous pleural effusions
3. Ascites
4. Recurrent spontaneous pneumothorax

Correct answer: 1. Post menopausal women

Explanation: Ans. Post menopausal women